Zavenelli's manoeuver done in:
1. Shoulder dystocia
2. Deep transverse arrest
3. Retained placenta
4. Face presentation

Correct answer: 1. Shoulder dystocia

Explanation: Manoeuvres done in case of: